Which one is an example of short loop negative feedback mechanism
1. TSH inhibiting TRH release from hypothalamus
2. T3, T4 inhibiting TSH release from anterior pituitary
3. TRH inhibiting its release from hypothalamus
4. T3, T4 inhibiting TRH release from hypothalamus

Correct answer: 1. TSH inhibiting TRH release from hypothalamus

Explanation: Ref: Guyton SAE, 1st ed, 538 and Sircar Principles of Physiology, 1st ed